PUFA consumption is associated with –
1. Lowering of serum cholesterol, rise in LDL cholesterol
2. Lowering of serum cholesterol, lowering of LDL cholesterol
3. Rise in serum cholesterol, rise in LDL cholesterol
4. Rise in serum cholesterol, lowering of LDL cholesterol

Correct answer: 2. Lowering of serum cholesterol, lowering of LDL cholesterol

Explanation: "Diet rich in polyunsaturated essential fatty acids have been reported to reduce the serum cholesterol and low density lipoprotein" - Park